Kuppuswamy index considers the following EXCEPT:
1. Education
2. Income
3. Housing
4. Occupation

Correct answer: 3. Housing

Explanation: Ans. c (Housing). (Ref. Park, PSM, 19th/pg.36)KUPUSWAMY INDEXPHYSICAL QUALITY OF LIFE INDEX (PQLI)HUMAN DEVELOPMENT INDEXDALY (Disability Adjusted Life Years)HALE (Health Adjusted Life Years)Kupuswamy Index of social classification include# Education# Occupation# IncomeConsist of# Infant mortality,# Life expectancy at age one, and# Literacy.National and inter- national comparison can be done Kerala has highest PQLIConsist of three dimensions:# Longevity (life expectancy at birth);# Knowledge (Adult literacy rate and mean years of schooling); and# Income (real GDP per capita in purchasing power). The HDI ranges between 0 to 1. In India HDI is 0.545.# Measure of burden of disease in defined population and effectiveness of intervention.# 1DALY = 1 lost year of healthy life.It consists of - Life expectancy at birth and Adjustment of time spent in poor health.